The patients of Down syndrome has high risk of developing  ________ in the future :
1. Parkinson syndrome
2. Lewy body dementia
3. Alzheimer's disease
4. Juvenile myoclonic epilepsy

Correct answer: 3. Alzheimer's disease

Explanation: Patients with Down syndrome i.e 21st trisomy has highest risk for developing Alzheimer's disease as gene for APP (Amyloid precursor protein) is present on chromosome 21.